Zellballen pattern on histopathology is observed in
1. GIST
2. Astrocytoma
3. Carotid body tumor
4. Retinoblastoma

Correct answer: 3. Carotid body tumor